Dalen fuch nodule is seen in?
1. Bacterial endopthalmitis
2. Mycotic endopthalmitis
3. Sympathetic opthalmitis
4. Phacotoxic endopthalmitis

Correct answer: 3. Sympathetic opthalmitis

Explanation: Dalen fuch's nodules seen in Sympathetic Ophthalmitis. -Collection of epitheloid histocytes between Bruch's membrane and Retinal pigment epithelium (i.e. sub retinal or choroidal location) -Seen as punctacte white spots in mid-periphery in deep retina (retinal vessels seen to run over the lesions)